Paralytic ileus is caused by -
1. Peritonitis
2. Hyperkalemia
3. Acute intestinal obstruction
4. Head injury

Correct answer: 1. Peritonitis

Explanation: Ans. is 'a' i.e., Peritonitis